True about Folic acid
1. Is also called as pteroyl glutamic acid
2. Is useful in carriage of one carbon atom moiety
3. Tetrahydrofolate is the active form
4. All of the above

Correct answer: 4. All of the above